The most characteristic histological finding of acute rheumatic carditis is:
1. Fibrinous pericarditis
2. Vegetations on mitral valve leaflets
3. Aschoff bodies in myocardium
4. Increased vascularity of the valves

Correct answer: 3. Aschoff bodies in myocardium

Explanation: Ans: c (Aschoff bodies in myocardium)Ref: Chandrasoma Taylor, 3rd ed, p. 347